Systolic BP of a group of persons follows normal distribution curve. The mean BP is 120. The values above 120 are -
1. 25%
2. 75%
3. 50%
4. 100%

Correct answer: 3. 50%

Explanation: Ans. is c i.e., 50%